Which of the following pneumonia is caused by contaminated air conditioner:
1. Pneumococci
2. Staphylococci
3. E. coli
4. Legionella

Correct answer: 4. Legionella

Explanation: Ans. is. 'd' i. e., Legionella